Paralytic ileus caused by
1. Hypokalemia
2. Hypoglycemia
3. Hyperkalemia
4. Hypercalcemia

Correct answer: 1. Hypokalemia

Explanation: Hypokalemia leads to decreased smooth muscle contraction leading to decreased peristalsis and thus paralytic ileus. Pg NO.1296 BAILEY 27TH EDITION